Muscles attached to the greater tubercle of humerus
1. Supra spinatus
2. Latissimus dorsi
3. Teres major
4. Pectoralis major

Correct answer: 1. Supra spinatus

Explanation: Supraspinatus is attached to greater tubercle. All other muscles are attached in the shaft of humerus. B D Chaurasia 7th edition Page no : 16 mnemonic:attachments in greater tubercle of humerus SIT Supraspinatus Infraspinatus Teres Minor